Which of the following is an intramatrix procedure?
1. Rotation of mandibular base in relation to cranium
2. Rotation of mandibular plane in relation to cranium
3. Rotation of mandibular plane relative to core of mandible
4. Rotation of mandibular base in relation to maxilla

Correct answer: 3. Rotation of mandibular plane relative to core of mandible